Anti -DNA antibodies are specific for:
1. Diffuse Systemic sclerosis
2. Sjogrens syndrome
3. Limited systemic sclerosis
4. SLE

Correct answer: 4. SLE

Explanation: Ans. D: SLE Anti-DNA antibodies are highly specific (95%) but only moderately sensitive (30%) for SLE Anti-topoisomerase 1 (also termed Scl-70) antibodies are specific for diffuse systemic sclerosis, whereas anti-centromere antibodies are more specific for limited systemic sclerosis Anti-dsDNA It is present in 50-70% of patients with SLE. Circulating DNA/anti-DNA immune complexes are considered to play a part in the pathogenesis of SLE. The presence of anti-dsDNA is one of the diagnostic criteria for SLE. IgG antibodies to dsDNA are considered clinically most useful for the diagnosis and management of SLE. Antibodies to single stranded DNA (ssDNA) and IgM antibodies to dsDNA are found in a number of other connective diseases, liver diseases, as well as in some normal individuals. Accurate detection of anti-dsDNA is important in the diagnosis and management of SLE.